The lever action that occurs in distal extension partial dentures is
1. 1st - order Lever
2. 2nd - order lever
3. 3rd - order lever
4. 4th - order lever

Correct answer: 1. 1st - order Lever